Most common pituitary adenomas are -
1. Growth hormone secreting adenomas
2. ACTH secreting adenomas
3. TSH secreting adenomas
4. Prolactinomas

Correct answer: 4. Prolactinomas

Explanation: Ans. is 'd' i.e., Prolactinomas o Pituitary adenomas constitute approximate 10% of all primary intracranial neoplasms and about 1/3 to 1/2 of all suprasellar/juxtasellar masseso Pituitary adenomas are classified on the basis of hormone(s) produced by the neoplastic cells detected by immunohistochemical stains.o Most common pituitary adenomas are prolactinomas.o Pituitary adenomas can be differentiated from hyperplasia by reticulin stain (Absence of reticulin network is seen in adenoma)o Pituitary adenomas are sellar lesions but larger adenomas can extend through the diaphragm sella into the suprasellar region and compress the optic chiasm (causing visual field abnormalities) and other cranial nerves. Large adenomas can also erode the sellarturcica and extend into surrounding region (k/a invasive adenomas)